WEBER'S test in otitis media will be?
1. Not lateralized
2. Lateralised to poorer ear
3. Lateralised to better ear
4. Inconclusive

Correct answer: 2. Lateralised to poorer ear

Explanation: Ans. is 'b' i.e., Lateralised to poorer ear Otitis media causes conductive hearing lossWeber's testLateralized to poorer ear - conductive hearing lossLateralized to better ear - SNHLNo lateralization - Normal